Inconclusive autopsy is known as ?
1. No cause of death is found on gross as well as histopathological examination
2. Cause is apparent on gross examination but not on histopathological examination
3. Gross finding are minimal
4. Cause is apparent on gross examination but not found because of constrains on the part of doctor

Correct answer: 1. No cause of death is found on gross as well as histopathological examination

Explanation: Ans. is 'a' i.e., No cause of death is found on gross as well as histopathological examination Types of autopsyNormal autopsy - cause is apparent from gross examinationDefective autopsy - cause was ascertainable, but was not ascertained due to constrains on the part of doctor, hospital, facilities etcObscure autopsy - gross findings are minimal, indecisive or obscure, as in adrenal insufficiency, anesthetic overdose, myxedema, rare plant poisons, thyrotoxicosis etc.subsequent examination like histology, microbiology, toxicology or serology reveal the cause.Negative autopsy / inconclusive autopsy - Cause is not clear from gross as well as subsequent examinations.